Treatment of the lutein cyst in hydatidiform mole is:
1. Ovarian cystectomy
2. Ovariectomy
3. Suction evacuation
4. Ovariotomy

Correct answer: 3. Suction evacuation

Explanation: Ans. is c, i.e. Suction evacuationRef. COGDT 10/e, p 889Management of theca lutein cysts:Theca lutein cysts are seen in H. mole due to high circulating levels of hCG.As such they donot need any separate treatment. Suction evacuation of H mole results in diminishing hCG titre, which leads to spontaneous regression of theca lutein cysts."Because theca lutein cysts regress following suction evacuation, expectant management is preferred". --William 24/e, p 398